Increase in cAMP is caused by
1. a (Alpha) receptor
2. Somatostatin
3. b (Beta) receptor
4. Acetylcholine

Correct answer: 3. b (Beta) receptor

Explanation: Ref:- kd tripathi; pg num:-48